A 5-yr old boy presents with pubic hair development. He is tall and has increased pigmentation of his genitalia and phallic enlargement. Blood pressure is 130/90 mm 14g. Measurement of which of the following hormones would be most likely to be diagnostic?
1. Increase 17 beta hydroxyl progesterone
2. Increase cortisol
3. Increase aldosterone
4. Increase 11 deoxycortisol

Correct answer: 4. Increase 11 deoxycortisol

Explanation: Ans is 'd' i.e., Increase 11 deoxycortisol o Presence of Precocious puberty in a male child and hypertension (BP of 130/80 in a 5 year old child is considered hypertension) suggests a diagnosis of congenital adrenal Hyperplasia due to 11-13 Hydroxylase deficiency. o levels and excretion of 11 deoxycortisol is increased(see flow chart of previous explanations).